All of the following are true regarding cytosolic eukaryotic gene expression EXCEPT:
1. Capping helps in attachment of mRNA to 40 S Ribosome
2. N formyl methionine t-RNA will be the first t-RNA to come into action
3. EF2 shifts between GDP & GTP
4. Releasing factor releases the polypeptide chain from the P site

Correct answer: 2. N formyl methionine t-RNA will be the first t-RNA to come into action

Explanation: Ans. (b) N formyl methionine t-RNA will be the first t-RNA to come into actionRef: Harper's Biochemistry, 30th ed. pg. 433-37* Methionine t-RNA is the first t-RNA involved in eukaryotic protein synthesis.